Confabulation is?
1. A state of confusion where patient is not able to describe the details
2. Purposefully fabricating stories to project a certain image
3. Filling up to gaps by fabrication to cover lapses in memory
4. A feeling of strangeness to familiar situations or events.

Correct answer: 3. Filling up to gaps by fabrication to cover lapses in memory

Explanation: Ans. C. Filling up to gaps by fabrication to cover lapses in memoryConfabulationIt is a type of Paramnesia (Distorted or falsified recall of events in relation to details or their temporal relationships)Unintentional filling of gaps of memory with material which are untrue and fanciful.